Risk factor for carcinoma stomach include all of the following, Except:
1. Blood group A
2. Atrophic Gastrititis
3. Duodenal Peptic ulcer
4. Partial Gastrectomy

Correct answer: 3. Duodenal Peptic ulcer

Explanation: Answer is C (Duodenal Peptic ulcer) Gastric adenocarcinoma may be associated with long standing gastric peptic ulcers (small risk) but not with duodenal ulcers. Atrophic gastritis, partial gastrectomy and blood group A have all been included in the list of risk factors for gastric adenocarcinoma.